Which of the following post is recommended:
1. Active
2. Passive.
3. Both
4. Any of the above.

Correct answer: 2. Passive.

Explanation: Active screw can lead to root fracture.